WHICH IS TRUE REGARDING STRONTIUM 89 WHEN COMPARED TO PHOSPHOROUS 32 ?
1. STR 89 HAS SHO T1/2
2. STR 89 HAS LESS TOXICITY
3. STR 89 HAS DEEPER PENETRATION
4. NONE OF THE ABOVE

Correct answer: 2. STR 89 HAS LESS TOXICITY

Explanation: Strontium 89(METASTRON) * Calcium analogue * Pure beta radiation emitter * Incorporated into the bone matrix directly in areas of active bone remodelling * Biological half-life of Sr89 isotope - 50.5 days. * Administered IV as strontium chloride * Main means of isotope elimination- kidneys * Used in metastatic prostate and breast cancer ref : david sutton 9th ed